At surgery for a right inguinal hernia, a 72-year-old man is found to have a hernia sac that is not independent of the bowel wall. The cecum forms part of the wall of the sac (see Figure below). Such a hernia is properly referred to as which of the following?Hernia has entered internal inguinal ring. Note that one-fourth of the hernia is not related to the peritoneal sac.
1. Incarcerated
2. Irreducible
3. Sliding
4. Richter's

Correct answer: 3. Sliding

Explanation: The term sliding refers to the peritoneum that slides along with the hernia in its passage along the cord (Figure below). The viscus forms part of the wall of the sac. The peritoneum should not be removed from the bowel wall, because devascularization may occur.Note cecum and ascending colon sliding on fascia of posterior abdominal wall